Which of the following is an example of disorders of sex chromosomes ?
1. Marfan's syndrome
2. Testicular feminization syndrome
3. Klinefelter's syndrome
4. Down's syndrome

Correct answer: 3. Klinefelter's syndrome